Dawson's fingers are seen in
1. Multiple sclerosis
2. Multiple myeloma
3. Freidreich's ataxia
4. SACD

Correct answer: 1. Multiple sclerosis

Explanation: Answer- A. Multiple sclerosisDawson's fingers on MRI scans are diagnostic of Multiple Scerlosis